Reflux oesophagitis is common in which type of Hiatus Hernia
1. Sliding type of Hiatus Hernia
2. Paraoesophageal type of Hiatus Hernia
3. Both
4. None

Correct answer: 1. Sliding type of Hiatus Hernia

Explanation: HIATUS HERNIA It is displacement of stomach into the chest through oesophageal opening of the diaphragm. Most patients are elderly, past 40 years. This disorder is of two types: 1. Sliding:- Stomach is pushed into the thorax, in line with the oesophagus. Reflux oesophagitis is common and may give rise to ulceration and stenosis. Haematemesis may occur. It is caused by raised intra-abdominal pressure. 2. Paraoesophageal: A part of the stomach along with its peritoneal covering passes up into the thorax by the side of oesophagus. The gastro-oesophageal junction still remains below the diaphragm and the angle between oesophagus and stomach is maintained. There is no reflux oesophagitis in this type of hernia. The main symptom is dyspnoea on exertion due to position of stomach in the thorax and sometimes bleeding. Ref:- Dhingra; pg num:-343